Kerion is a
1. Bacteria
2. Prion
3. Virus
4. Fungus

Correct answer: 4. Fungus

Explanation: Ans. (d) FungusRef: Microbiology by Ananthanarayan and Paniker 8,th ed. /605* Kerion is the result of the hosts response to a fungal ringworm infection of the hair follicles of the scalp and beard accompanied by secondary bacterial infection.* It is usually caused by Zoophilic dermatophytes like Trichophyton verrucosum and T. mentagrophytes.* Treatment: Oral Griseofulvin is the treatment of choice.